Drug of choice for prevention of NSAID induced peptic ulcer disease is
1. H2 receptor blockers
2. Proton pump inhibitors
3. Macrolide antibiotic
4. Sucralfate

Correct answer: 2. Proton pump inhibitors

Explanation: Ans. is 'b' i.e., Proton pump inhibitors * PPI are the DOC for peptic ulcer (gastric or duodenal), GERD, ZE syndrome, prevention of aspiratory pneumonia and NSAID induced gastric / duodenal ulcers. Note - PGE1 analogue (Misoprostol) is specific drug for prevention and treatment of NSAID induced ulcer, but DOC is PPL